Fracture seen in judicial hanging called
1. Jefferson's fracture
2. Hangman's fracture
3. Boxer's fracture
4. Greenstick fracture

Correct answer: 2. Hangman's fracture

Explanation: Fracture of the pedicles of axis resulting in anterior dislocation of C2 on C3 with or without fracture of odontoid process, that occurs in hanging is called Hangman's fracture. This injury is typically seen in judicial hanging. Ref: FORENSIC MEDICINE AND TOXICOLOGY Dr PC IGNATIUS THIRD EDITION PAGE 178